The water cane in the larynx (saccules) are present in -
1. Paraglottic space
2. Pyriform fossa
3. Reinke's space
4. Laryngeal ventricles

Correct answer: 4. Laryngeal ventricles

Explanation: The saccule is a diverticulum of mucous membrane which is present in ventricle (sinus of larynx).